Swimming pool odor in classical of which inborn error of metabolism?
1. Tyrosinemia
2. Hawkinsinuria
3. Phenylketonuria
4. Multiple carboxylase deficiency

Correct answer: 2. Hawkinsinuria

Explanation: Tyrosinemia - Boiled cabbage odor.
Hawkinsinuria - Swimming pool odor.
Phenylketonuria - Mousey odor.
Multiple carboxylase deficiency - Tomcat urine.